Which of the following muscle relaxants causes maximal pain on injection –
1. Succinyl choline
2. Vecuronium
3. Rocuronium
4. Cistracurium

Correct answer: 3. Rocuronium

Explanation: Pain during injection is an important and common feature of Rocuronium Injection.